Ether is still used as a general anaesthetic in lndia, specially in peripheral hospitals because:
1. It is non-explosive
2. It is pleasant smelling and non irritating
3. It induces anaesthesia rapidly
4. It is cheap and can be administered without anaesthetic machine

Correct answer: 4. It is cheap and can be administered without anaesthetic machine

Explanation: (Ref: KDT 6/e p371) Ether is the only complete anaesthetic agent. It is highly inflammable and explosive. It has good analgesic and muscle relaxant action. It can be delivered by open method. It is a pungent smelling liquid. Induction of anaesthesia with ether is quite slow. All the four stages can be seen.